The laryngeal mask airway used for securing the airway of a patient in all of the following conditions except:
1. In a difficult intubation
2. In cardiopulmonary resuscitation
3. In a child undergoing an elective/routine eye surgery
4. In a patient with a large tumour in the oral cavity

Correct answer: 4. In a patient with a large tumour in the oral cavity

Explanation: D i.e. In a patient with large tumor of the oral cavity